Anatomical closure of ductus arteriosus occurs at?
1. Birth
2. 3-4 day
3. 10 day
4. 30 day

Correct answer: 4. 30 day

Explanation: D i.e. 30 days The ductus arteriosus constricts at birthQ, but there is often a small shunt of blood from the aorta to left pulmonary artery for 24- 48 hours in normal healthy, full term infant. At the end of 24 hours, 20% of ducts are functionally closed, 82% by 48 hours, and 100% at 96 hours (4 days)(2In premature infants and in those with persistent hypoxia, DA may remain open much longer. 02 (P02 50 mmHg) is the most important factor in controlling closure of DA in fullterm infants. The DA of premature infants is less responsive to Closure is mediated by bradykinin released during initial inflation of lungComplete anatomical obliteration by proliferation of the intima may take 1-3 monthsQ and is probably mediated by transforming growth factor (TGF-0)During felat life the patency of the ductus arteriosus (DA) is mintained by low 02 content & endogenously produced prosthglandins. So inhibitors of prostaglendin synthesis, such as indometluicin, can cause constriction of a patent ductus arteriosus in premature infants.